Most common aneuploidy compatible with life is
1. Down syndrome
2. Turner syndrome
3. Klinefelter's syndrome
4. Patau syndrome

Correct answer: 1. Down syndrome

Explanation: Answer- A, Down syndromeMost common aneuploidy in which infant can survive is trisomy-21 (Down syndrome)